The conversion of CO2 &H20 into carbonic acid in the formation of aqueous humour is catalyzed by which enzymes:
1. Carboxylase
2. G6PD
3. Carbonic anhydrase
4. Carbonic deoxygenase

Correct answer: 3. Carbonic anhydrase

Explanation: mechansim of Aqueous production- diffusion-Martin mechanism , energy dependent process ultra-filtration Active secretion Ultrafiltration, most of the plasma substances pass out from thecapillary wall. Active Secretion Paired Na+/H+and Cl-/HCO3-antiports actively transports Na+ and Cl- from the stroma into the cells. Intercellular gap junctions also play critical rule. The tight junctions between the cells of the non-pigment epithelium create part of blood aqueous barrier. Certain substances are actively transported (secreted) across this barrier into posterior chamber. The active transport is brought about by Na+ -K+ activated ATPase pump, calcium and voltage gated ion channels and carbonic anhydrase enzyme system. Diffusion. Active transport of these substances across the non-pigmented ciliary epithelium results in an osmotic gradient leading to the movement of other plasma constituents into the posterior chamber Formation of aqueous humour